For phenytoin all are true except?
1. Cause hirsuitism
2. Teratogenic effect
3. Narrow therapeutic index
4. Does not need drug dosage monitoring

Correct answer: 4. Does not need drug dosage monitoring